Tactile sensations over the body are a characteristic of which poisoning?
1. Cocaine
2. Opium
3. Cannabis
4. Barbiturate

Correct answer: 1. Cocaine

Explanation: Cocaine- It is a natural alkaloid Cocaine is a good surface anesthetic and is rapidly absorbed from the buccal mucous membrane. It was first used for ocular anesthetic . Cocaine should never be injected: acts as a protoplasmic poison and causes tissue necrosis produces prominent CNS stimulation with marked on mood and behaviour. It induces a sense wellbeing delays fatigue Cocaine also stimulates vagal centre, vasomotor centre-rise in BP; vomiting center- vomiting; temperature regulating centers (also due to increased heat production are enhanced muscular activity). ESSENTIALS of medical PHARMACOLOGY SEVENTH EDITION-KD TRIPATHI Page:365,366